Adenosine deaminase deficiency is seen in
1. Severe combined immunodeficiency
2. Wiskott Aldrich syndrome
3. Agammaglobulinemia
4. HIV

Correct answer: 1. Severe combined immunodeficiency

Explanation: Ref Robbins 8/e p244, 9/e p239 Adenosine deaminase (ADA) deficiency is an inherited disorder that damages the immune system and causes severe combined immunodeficiency (SCID). People with SCID lack virtually all immune protection from bacteria, viruses, and fungi. They are prone to repeated and persistent infections that can be very serious or life-threatening. These infections are often caused by "opportunistic" organisms that ordinarily do not cause illness in people with a normal immune system